Which of the following drugs can affect male fertility?
1. Marijuana
2. Silodocin
3. Dutaseride
4. All the above

Correct answer: 4. All the above

Explanation: Ans. is 'd' i.e., All the above Drugs that may affect male fertility* Testosterone : Replacement testosterone (also called supplemental testosterone) has a strong negative effect on sperm production.* Anabolic steroids: Anabolic steroids harm male fertility the same way that testosterone does: by interfering with the hormone signals that are needed to produce sperm.* Alcohol : Light to moderate alcohol drinking does not appear to affect male fertility. Heavy alcohol drinking (more than 14 mixed drinks/week), however, may decrease the production of testosterone, increase the rate at which testosterone is cleared from the bloodstream, and increase a man's estrogen levels.* Tobacco : Smoking also has a negative impact on your sperm production and the movement of sperm.* Marijuana : THC, the active ingredient in marijuana, decreases sperm production and weakens sexual drive by interfering with the production of testosterone.* Opiates (narcotics Long-term use of opiates can disrupt the signals that control testosterone production, which can cause low testosterone and decrease the quantity and quality of the sperm.* 5-alpha-reductase inhibitors (finasteride, dutaseride, and propecia): Men who use these drugs to treat prostate enlargement will have a decrease in the volume of the semen and the total number of sperm in the semen, which may make it harder to cause a pregnancy.* Alpha blockers (silodosin, tamsulosin, alfuzosin, Hytrin, Cardura): Silodosin and Tamsulosin can both cause a sharp decrease in the volume of ejaculation or may inhibit ejaculation completely. Selective serotonin reuptake inhibitors (SSRIs): These medications may prevent the proper movement of sperm through the reproductive tract or otherwise harm the sperm.* Ketoconazole : When it is taken as a pill, ketoconazole hurts testosterone production and decreases sperm production.* Chemotherapy: All chemotherapy medications used to treat cancer will inhibit sperm production.* Other medications : The following medications may cause male fertility problems: some antibiotics, spironolactone, cimetidine, nifedipine, sulfasalazine, and colchicine.